A young patient presents to the ophthalmology clinic with loss of central vision. ERG is normal but EOG is abnormal. Which of the following is the most likely diagnosis -
1. Stargardt's disease
2. Best's Vitelliform Dystrophy
3. Retinitis Pigmentosa
4. Cone- Rod Dystrophy

Correct answer: 2. Best's Vitelliform Dystrophy

Explanation: Normal ERG with an abnormal EOG is charachteristic of best's vittelliform dystrophy.